Which of the following is a rapid acting insulin?
1. Glargine
2. Detemir
3. Lente
4. Glulisine

Correct answer: 4. Glulisine

Explanation: d. Glulisine(Ref: Nelson's 20/e p 2760-2780, Ghai 8/e p 541-548)Ultrashort acting Insulins include: Insulin Lispro, Glulisine and Aspart.